Inverse stretch reflex is mediated :
1. Golgi tendon
2. Muscle spindle
3. Unmyelinated C fibres
4. Dorsal Column

Correct answer: 1. Golgi tendon

Explanation: - Golgi tendon organs detects muscle tension & rate of change in muscle tension - Located in muscle-tendons - Inverse stretch reflex When tension in muscle increased, signals are transmitted by type Ib nerve fibers to inhibitory interneurons which inhibit alpha-motor neuron resulting in relaxation of entire muscle (lengthening reaction) Muscle spindle: - Distributed throughout belly of muscle - Detect muscle length / rate of change of length of muscle - Function: involved in muscle stretch reflex - When muscle is stretched suddenly, excitation of muscle spindle causes Reflex contraction of large skeletal muscles fibers of stretched muscle & allied synergistic muscle Unmyelinated C-fibers: - Type "c" - fibers are small & unmyelinated nerve fibers that conduct impulse at low velocities - Constitute greater than half of sensory fibers in most peripheral nerves & post- ganglionic autonomic fibers Dorsal column of spinal cord: - Carry fine, touch, vibration, 2 point discrimination & proprioception from skin & joints